Which of the following is a serious adverse effect seen with zolendronate ?
1. Acute renal failure
2. Ventricular fibrillation
3. Peptic ulcer
4. Anterior uveitis

Correct answer: 1. Acute renal failure